Quality of life is defined as?
1. Standard of living
2. Level of living
3. Subjective feeling of well being
4. All of the above

Correct answer: 3. Subjective feeling of well being

Explanation: Ans. is 'c' i.e., Subjective feeling of well being Ouality of life o The level of living and standard of living are objective criteria of well being, while quality of life comprises the individual's own subjective evaluation of these. o Recent definition of quality of life is as follows "a composite measure of physical mental and social well being as perceived by each individual or group of individuals." o WHO definition is as follows "the condition of life resulting from the combination of the effects of the complete range of factors such as those determining health, happiness, education, etc."